Which of the following is not a part of glomerular filtration barrier ?
1. Mesangial cell
2. Endothelial cell
3. Podocyte
4. Basement membrane

Correct answer: 1. Mesangial cell

Explanation: Ans. is 'a' i.e., Mesangial cellThe glomerular membrane (or the filtration barrier) is the filtration surface through which the fluid is filtered out from the blood into the uriniferous tubules. The glomerular membrane (filtration barrier) comprises :i) The glomerular capillary endothelium,ii) The basement membrane (basal lamina) andiii) The Bowman's visceral epithelium (podocytes).